Patient pays a stipulated amount of money towards the treatment is termed
1. Deductible
2. Coinsurance
3. Fee for service
4. Third party payment

Correct answer: 1. Deductible